Which of the following tendon is more likely to rupture during violent dorsiflexion of the foot ?
1. EHL
2. EDL
3. FHL
4. Plantaris

Correct answer: 4. Plantaris

Explanation: Ans. is 'd' i.e., Plantaris Plantaris is a feeble and rudimentary muscle having a long slender tendon, which can rupture during sudden dorsiflexion of ankle joint.Pain following rupture may be so severe that the person is unable to bear weight on foot.Plantaris tendon is commonly used in reconstructive surgery of tendons of hand